All of the following are included in Human development index (HDI) except:
1. Life expectancy at birth
2. Life expectancy at 1 year age
3. Education
4. Gross domestic Product (GDP)

Correct answer: 2. Life expectancy at 1 year age

Explanation: Human development index (HDI) is defined as "a composite index combining indicators representing three dimensions - longevity (life expectancy at birth); knowledge (mean years of schooling and expected years of schooling, and income (GNI per capita in purchasing power parity in US dollars)“.
The HDI values range between 0 to 1.